Snowmann appearance is seen in:
1. Total anomalous pulmonary venous Connection
2. Ebstein anomaly
3. Tetralogy of fallot
4. VSD

Correct answer: 1. Total anomalous pulmonary venous Connection

Explanation: Aus: A ( Total anomalous pulmonary venous Connection) Radiological featureDisorderCoeur en sabot ie. Boot shaped heartPTOFEgg in cup appearanceConstrictive pericarditisEgg on side appearanceEgg shaped heartD-Transposition of great arteries (D-TGA)Convex Left heart borderL-TGAStraight left upper cardiac borderEbstein AnomalyConcave main pulmonary segment segment & right aortic archPersistent Trunkus arteriosusSnowmann signFigure of 8 signCottage leaf signTotal Anomalous PulmonaryVenous Connection (TAPVC)TAPVRTAPVR = admixture lesion because of the combination of cyanosis + increased pulmonary vascularity (L-to R and R-to -L shunt)Age : symptomatic in 1st year of life Type* Supradiaphragmatic TAPVR* Sub- / Infradiaphragmatic TAPVR* Mixed Type of TAPVR